which is the antipsychotic that results in decreased weight
1. olanzapine
2. quetiapine
3. ziprasidone
4. clozapine

Correct answer: 3. ziprasidone

Explanation: Ziprasidone ziprasidone has one beneficial effect when compared to other antipsychotics, namely decreasing the weight gain of the patient the most lethal side effects of ziprasidone is that it causes QTC prolongation, thereby resulting in torsades de pointes. Ref. kaplon and sadock, synopsis of psychiatry, 11 th edition, p no.925